The association between disease & risk factor in a case control study is studied by -
1. Relative role
2. Attributable role
3. Population attributable role
4. Odds ratio

Correct answer: 4. Odds ratio